Which of the following is a 'nootropic' drug?
1. Rivastigmine
2. Tacrine
3. Amantadine
4. Piracetam

Correct answer: 4. Piracetam

Explanation: Nootropic drugs are newer class of drugs to improvr the cognitive capacity in alzheimers patient. aThey include piracetam and aneracitam REFR: ESSENTIALS OF MEDICAL PHARMACOLOGY KD TRIPATHI 8TH ED.